Magnetostrictive handpiece
1. Is Ultrasonic instrument
2. Has elliptical motion
3. Heats up more, requires coolant
4. All of the above

Correct answer: 4. All of the above